The widest incisal embrasure is normally found
between which of the following permanent maxillary teeth:
1. Central incisors
2. Central and lateral incisors
3. Lateral incisor and canine
4. First and 2nd premolar

Correct answer: 3. Lateral incisor and canine